D.latum transmitted by ?
1. Cercaria through cyclops
2. Cercaria through fish meal
3. Plerocercoid through fish meal
4. Metacercaria in cyclops

Correct answer: 3. Plerocercoid through fish meal

Explanation: Ans. is 'c' i.e., Plerocercoid through fish meal